In pemphigus vulgaris, blisters are located in ?
1. Sub epidermal
2. Intra epidermal
3. Subdermal
4. Subfascial

Correct answer: 2. Intra epidermal

Explanation: Ans is 'b' i.e., Infra epidermalIntra-epidermal immunobullous disorderSub-epidermal immunobullous disorder1. Pemphigus vulgaris1. Bullous pemphigoid2. Pemphigus vegetans2. Mucous memb. Pemphigoid3. Pemphigus foliaceus3. Pemphigoid gestationalis4. Pemphigus erythmatosus4. Linear IgA disease5. Intercellular IgA dermatosis5. Epidermolysis bullosa aquisita6. Paraneoplastic Pemphigus6. Dermatitis herpetiformis